Morphologic stage of the tooth development is determined by:
1. The connective tissue of the tooth germ.
2. Epithelial part of the tooth germ.
3. Both.
4. None.

Correct answer: 2. Epithelial part of the tooth germ.

Explanation: Morphologic stage of tooth development: 
Is determined by the epithelial part of the tooth germ, i.e. Enamel organ.